All are True about endometrial carcinoma in clinical stage III except :
1. Vaginal metastasis
2. Para aortic lymph node involvement
3. Pelvic lymph node involvement
4. Peritoneal involvement

Correct answer: 4. Peritoneal involvement

Explanation: Endometrial cancer stage III: Stage IIIA: Involvement of uterine serosa and/ or adnexa Stage IIIB: Involvement of vagina and/or parametrium Stage IIIC: IIIC1: Positive Pelvic nodes IIIC2: Positive Paraaortic nodes with or without positive pelvic nodes Ref: FIGO SURGICAL STAGING 2014